The interossei are supplied by
1. Superficial palmar branch of radial artery
2. Deep palmar branch of ulnar artery
3. Superficial palmar arch
4. Deep palmar arch

Correct answer: 4. Deep palmar arch

Explanation: Deep palmar arch is formed mainly by terminal part of the radial artery and is completed medially at the base of fifth metacarpal bone by the deep palmar branch of the ulnar artery. Superficial palmar branch of radial artery joins with the ulnar artery laterally to form a superficial palmar arch which supplies the digits. Deep palmar branch of ulnar artery joins with the radial artery to form deep palmar arch and supplies interossei muscles. BD Chaurasia 7th edition Page no: 126,127